A random sample suggests that
1. A person in a control group will not be a member of the experimental group
2. Any member of a group to be studied has an equal opportunity to be included in the study
3. Every nth name on a list is selected
4. Subjects are volunteers

Correct answer: 2. Any member of a group to be studied has an equal opportunity to be included in the study